Unilateral renal agenesis is associated with
1. Polycystic disease of pancreas
2. Hiatus Hernia
3. Single umbilical artery
4. Hypogonadism

Correct answer: 3. Single umbilical artery

Explanation: Ans. is 'c' Single Umbilical Artery Nelson says "Incidence of unilateral Renal Agenesis is increased in Newborns with a single umbilical artery "Other associated malformations with U/L renal agenesisAbsent ureterContralateral vesicoureteric refluxAbsent Ipsilateral vas deferensNow something about bilateral renal agenesisBilateral Renal agenesis is incompatible with extrauterine life, death occurs shortly after birth from pulmonary hypoplasia.Bilateral renal agenesis is also known as Potter syndrome*